Most common cause of amoebic lung abcess
1. Inhalation
2. Direct extension from liver
3. Hematogenous spread
4. Lymphatic spread

Correct answer: 2. Direct extension from liver

Explanation: Amoebic lung abscess is a result of direct spread of infection from liver to lung. The infection spreads directly through the diaphragm. The most common area of the lung involved is right lower lobe. The amoebic liver abscess ruptures and then it can involve any of the following structures. Right lung (Most commonly) Right pleural cavity Left Lung Pericardium Peritoneal cavity